Which sinus is the last sinus to appear radiologically on X-ray?
1. Maxillary sinus
2. Sphenoid sinus
3. Frontal sinus
4. Ethmoidal air cells

Correct answer: 3. Frontal sinus

Explanation: Ans. is'c'i.e., Frontal sinus[Ref Textbook Of The Ear, Nose And Throat By De Soum, C. Et Al. p 394)